Which is the least common site for the occurance of berry aneurysm?
1. Anterior communicating artery
2. Middle cerebral artery
3. Vertebral artery
4. Basilar artery

Correct answer: 3. Vertebral artery

Explanation: 85% of berry aneurysms occur in the anterior circulation, mostly on the Circle of Willis. 3 most common anterior locations are over : anterior communicating artery, posterior communicating artery and middle cerebral artery. 10% of it occur over basilar artery and only 5% occur on vertebral artery. Reference: Handbook of Neurosurgery By Mark Greenbergpage 1055.